Bacteria causing vomiting and diarrhea within 6 hours of food intake is:
1. Clostridium perfringens
2. Salmonella spp
3. Vibrio cholerae
4. Staphylococci aureus

Correct answer: 4. Staphylococci aureus

Explanation: Ans. D: Staphylococci aureus Incubation period of: a. 1-6 hours: Staphylococci aureus b. 8-16 hours: Clostridium perfringens c. More than 16 hours: Salmonella spp.,Vibrio cholerae Staphylococcal food poisoning: Typical contaminated foods include custard, cream-filled pastry, milk, processed meats, and fish. Symptoms usually begin abruptly with severe nausea and vomiting starting about 2 to 6 hours after the contaminated food is eaten. Other symptoms may include abdominal cramping, diarrhea, and sometimes headache and fever. Symptoms usually last less than 12 hours, and recovery is usually complete. Occasionally, staphylococcal food poisoning is fatal, especially in the very young, the very old, and people weakened by long-term illness